Aneurysm with third nerve palsy ?
1. Aneurysm of cavernous Sinus
2. Aneurysm of middle cerebral artery
3. Aneurysm of lower cerebral artery
4. Junction of PCA with JCA

Correct answer: 4. Junction of PCA with JCA

Explanation: *a third nerve palsy may be present due to local pressure from an aneurysm of the posterior communicating artery . Ref Harrison20th edition pg 2334